Parachute reflex disappear at –
1. 3 months
2. 6 months
3. 9 months
4. Never

Correct answer: 4. Never